Lice are not the vectors of -
1. Relapsing fever
2. Q fever
3. Trench fever
4. Epidemic typhus

Correct answer: 2. Q fever

Explanation: Vector Diseases transmitted Soft tick Relapsing fever, Q fever, KFD (outside India) Hard tick Tularemia, Babesiosis, KFD (India), Tick paralysis, Tick encephalitis, Indian tick typhus, Tick hemorrhagic fever, Rocky Mountain spotted fever. Lice Epidemic typhus Trench fever relapsing fever REF: PARK'S TEXTBOOK OF PREVENTIVE AND SOCIAL MEDICINE, 25TH EDITION, PG NO. 841